. Internal fistulas with colonic diverticulitis are most often
1. Colovesical
2. Coloenteric
3. Colocolonic
4. Colovaginal

Correct answer: 1. Colovesical